In thyroid, the bruit is heard in
1. Lower pole
2. Upper pole
3. Medial side
4. Lateral side

Correct answer: 2. Upper pole

Explanation: Ans. (b) Upper pole.Ref: Rajamahendran Long Cases In Surgery- Page 32 2nd Edition* Systolic bruit may be heard in superior pole outwards due to increased vascularity.